Which of the following drugs is most likely to be absorbed from the stomach?
1. Morphine sulfate
2. Diclofenac sodium
3. Hyoscine hydrobromide
4. Quininedi hydrochloride

Correct answer: 2. Diclofenac sodium

Explanation: DICLOFENAC IS ABSORBED THROUGH STOMACH.Ref:KDT 6/e pg. 12